IFN - α is secreted by
1. Leucocytes
2. Fibroblasts
3. TH Cells
4. Tc Cells

Correct answer: 1. Leucocytes

Explanation: IFN - α - Leucocytes
IFN - β - Fibroblasts
IFN - γ - TH & TCcells, NK Cells.